High first pass metabolism is seen in:
1. Lignocaine
2. Propranolol
3. Salbutamol
4. All of these

Correct answer: 4. All of these

Explanation: - Among given options Lignocaine, Propranolol and Salbutamol has high first pass metabolism.